Great cerebral vein of Galen formed by the union of
1. Superfcial middle cerebral vein
2. Internal cerebral vein
3. Anterior cerebral vein
4. Middle cerebral vein

Correct answer: 2. Internal cerebral vein

Explanation: Great cerebral vein: This is a single median vein. It is formed by the union of the two internal cerebral veins. It terminates in the straight sinus. Its tributaries include the basal veins and veins from the pineal body, the colliculi, the cerebellum and the adjoining part of the occipital lobes of the cerebrum.Ref: BD Chaurasia; Volume 3; 6th edition; Page no: 388